Percentage of 02 carried in chemical combination
1. 97%
2. 3%
3. 66%
4. 33%

Correct answer: 1. 97%

Explanation: A i.e. 97%;